When in labor, a diagnosis of occipitoposterior presentation is made. The most appropriate management would be:
1. Emergency CS
2. Wait and watch for progress of labor
3. Early rupture of membranes
4. Start oxytoicn drip

Correct answer: 2. Wait and watch for progress of labor

Explanation: If the mother and baby are in good condition and labour is progressing well there is no need for interference.Membranes should be preserved as long as possible atleast until the active phase.(refer pgno:369 Sheila textbook of obstetrics 2 nd edition)